Hypothermia in neonate is characterised by –a)  Hyperactivityb)  Hypoglycemia c)  Apnead)  Ted urinary output
1. a
2. bc
3. ac
4. ad

Correct answer: 2. bc